Pulmonary hypertension in COPD is due toa) Constriction of pulm vesselsb) Hypoxiac) Interstitial fibrosisd) Bronchoconstriction
1. ab
2. a
3. ad
4. bc

Correct answer: 1. ab